Estimation of the following hormones is useful while investigating a case of gynecomastia except-
1. Testosterone
2. Prolactin
3. Estradiol
4. Luteinising hormone

Correct answer: 2. Prolactin

Explanation: Gynecomastia refers to enlargement of the male breast. It is caused by excess estrogen action and is usually the result of an increased estrogen-to-androgen ratio. True gynecomastia is associated with glandular breast tissue that is >4 cm in diameter and often tender. Evaluation of a case of gynecomastia should include a careful drug history, measurement and examination of the testes, assessment of virilization, evaluation of liver function, and hormonal measurements including testosterone, estradiol, and androstenedione, LH, and hCG. Reference : page 2366 Harrison's Principles of Internal Medicine 19th edition .